Herringbone pattern on histology is seen in which tumor
1. Fibrosarcoma
2. Lipoma
3. Carcinoma
4. Liposarcoma

Correct answer: 1. Fibrosarcoma

Explanation: fibrosarcoma In the given figure, Malignant spindle cells here are arranged in a herringbone pattern. Fibrosarcoma are malignant neoplasms composed of fibroblasts. Fibrosarcoma are soft unencapsulated, infiltrative masses that frequently contain areas of hemorrhage and necrosis. Robbins basic pathology 9th edition page no 794,figure 20-26 Ref of img: